Tendon present in third extensor compartment of wrist is
1. ECRL
2. ECRB
3. EPL
4. EPB

Correct answer: 3. EPL

Explanation: 6 iteofascial compartments are formed on the back of the wrist ( extensor retinaculum ). The structures passing through each ompament, from lateral to the medial side are - 1st compartment - (i) Abductor pollicis longus (ii) Extensor pollicis brevis IInd compartment - (i) Extensor carpi radialis longus (ii) Extensor carpi radialis brevis IIIrd compartment - (i) Extensor pollicis longus IVth compartment - (i) Extensor digitorum (H) Extensor indicts (iii) Posterior interosseous nerve (iv) Anterior interosseous artery Vthcomparment - (i) Extensor digiti minimi VIth compartment - (i) Extensor carpi ulnaris. Ref : B D Chaurasia's Human Anatomy, Seventh edition , volume 1 , pg. no., 135